Which of the following is Climber's muscle -
1. Serratus anterior
2. Lattissimus Dorsi
3. Rhomboidus major
4. Subscapu laris

Correct answer: 2. Lattissimus Dorsi

Explanation: Ans. is 'b' i.e., Lattissimus Dorsi o Lattissimus Dorsi is sometimes referred as the 'Climber's muscles' as it comes in visible action in climbing up the trees, so also in swimming and rowing.Special nameMuscleBoxers muscleSerratus anteriorTailer's muscleSartoriusRider's muscleAdductors of thighClimber's muscleLattissimus dorsiGuthrie's muscleWilson's muscleSphincter urethraeShawl muscleCowl muscleTrapeziusLaughing or Smiling muscleCoder's muscleZygomaticus majorCorrugator supercilliToynbee's muscleTensor tympaniThelle's muscleSuperficial transverse perinea